True statement about fexofenadine is :
1. It undergoes high first pass metabolism in liver
2. Terfenadine is an active metabolite of this drug
3. It does not block cardiac K+ channels
4. It has high affinity for central H1 receptors

Correct answer: 3. It does not block cardiac K+ channels

Explanation: Fexofenadine is an active metabolite of terfenadine. It lacks K+ channel blocking property, therefore is devoid of arrhythmogenic potential. It is available as a separate second-generation H1 blocking agent.